The lymphatic drainage of the glans penis is
1. Superficial inguinal lymph nodes
2. Deep inguinal lymph nodes
3. Para-aortic lymph nodes
4. internal iliac lymph nodes

Correct answer: 2. Deep inguinal lymph nodes

Explanation: B i.e. Deep inguinal lymph nodes